Not true about major depressive disorder -
1. Commonly seen in female
2. Recovery is complete after treatment
3. Associated with hypothyroidism
4. Family H/O major depression

Correct answer: 2. Recovery is complete after treatment

Explanation: Recovery is not complete after treatment; about 20-35% of depressed patients are refractory to antidepressants. About other options
Depression is more common in female.
Hypothyroidism can cause major depression.
Positive family history is a risk factor for major depression.